Cerebral perfusion pressure is
1. mean arterial pressure + intracranial pressure
2. cerebral blood flow * brain surface area in m^2
3. cerebral blood flow / brain surface area in m^2
4. mean arterial pressure - intracranial pressure

Correct answer: 4. mean arterial pressure - intracranial pressure

Explanation: Cerebral perfusion pressure (CPP), is the difference between mean arterial pressure (MAP) and intracranial pressure (ICP): CPP (75-105 mmHg) = MAP (90-110 mmHg) - ICP (5-15 mmHg).Normal cerebral blood flow (CBF) is about 55 mL/minute for every 100 g of brain tissue. Ischaemia results when this rate drops below 20 mL/min,Bailey and love 26e pg: 310